Viral HIV integrase inhibitor is:
1. Zidovudine
2. Maroviroc
3. Raltegravir
4. Enfuvirtide

Correct answer: 3. Raltegravir

Explanation: INTEGRASE INHIBITOR: RALTEGRAVIR: The HIV proviral DNA transcripted in the cytoplasm of host cell translocates to the nucleus along with an integrase enzyme. The HIV integrase nicks host chromosomal DNA and integrates the proviral DNA with it.Raltegravir is an orally active drug that blocks this step by inhibiting the integrase enzyme.it is active against both HIV-1 and HIV-2. ESSENTIALS OF MEDICAL PHARMACOLOGY K.D.TRIPATHI SEVENTH EDITION PAGE NO:811